Optic neuritis causes -
1. Gradual painless loss of vision
2. Sudden painless loss of vision
3. Gradual painful loss of vision
4. Sudden painful loss of vision

Correct answer: 4. Sudden painful loss of vision

Explanation: Visual loss in optic neuritis : Sudden, progressive and profound visual loss. Patients may complain of dull eye ache. Ref:AK Khurana 6thE pg 318